Most important role in apoptosis by
1. SER
2. Golgi complex
3. Mitochondria
4. RER

Correct answer: 3. Mitochondria